Which of the following is not a feature of basal carcinoma of Lid
1. Occur on lower lid
2. Rodent Ulcer
3. Liver metastases common
4. Surgical excision treatment

Correct answer: 3. Liver metastases common

Explanation: Liver metastases common Basal cell carcinoma is a locally invasive tumor, and metastasis to distant sites is very rare. Most common sites in decreasing frequencies are Lower Lid (50%), Inner canthus (25%), Upper lid (10%-15%), Lat. canthus (<5%) Basal cell carcinoma is most common lid malignancy (85% of all lid malignancies), which is most common in middle aged or elderly patients. Most common sub types - nodular, morphea-form. Rodent ulcer is an advanced appearance of the noduloulcerative type. Ocular adnexal basal carcinoma have a 3% mortality rate. Tumor near/at medial canthus are most dangerous and may invade the orbit lacrimal drainage system or extend to brain. Surgical excision is best treatment modality, followed by lid reconstruction. Moh's microsurgery is best technique to preserve the lid anatomy. Type Common location Clinical feature Spread Therapy Squamous cell carcinoma Lower lid, from previous actinic Keratosis Ulcer with thickened margm keratosis Local Lymph Node Resection, Radiation Cryotherapy Sebaceous cell Upper lid Nodule resembling chalazion, multifocal female> male Local inraepithelial lymph node Resection Cryotherapy Exenteration Malignant melanoma Previous Nevi >6 mm size pigmentedlesion vascularisation inflammation Local vascular lymph node Resection exenteration